True statement about transgenic mice:
1. Developed from DNA insertion into fertilized egg
2. Have same genome as parents except one or more genes
3. Homozygous are selected
4. All

Correct answer: 4. All

Explanation: A i.e. Developed from DNA insertion into fertilized egg; B i.e. Have same genome as parents except one or more genes; C i.e. Homozygous are selected: